H.parainfluenzae requires factor:
1. V
2. VI
3. VII
4. X

Correct answer: 1. V

Explanation: Ans: (A) V Factor V &X are accessory growth factors which is present in blood- (Ananthanarayan 9th/327)speciesGrowth requirementHemolysis on horse blood agar X V CO2 H influenzae + + - - H aegyptius + + - - H ducreyi + VARIABLE VARIABLE H. parainfluenzae - + - - H. haemolyticus + + - + H. parahaemolyticus - + - + h aphrophilus + - + - H paraphrophilus - + + -